An IQ of 51 -70 suggests what degree of Mental retardation ?
1. Mild MR
2. Moderate MR
3. Severe MR
4. Profound MR

Correct answer: 1. Mild MR

Explanation: Ans. is 'a' i.e., Mild MR CategoryIQMild50-70Moderate35-49Severe20-34Profound<20